Which is not a medial pathway involved in the maintenance of posture?
1. Reticulospinal tract
2. Rubrospinal tract
3. Tectospinal tract
4. Vestibulospinal tract

Correct answer: 2. Rubrospinal tract

Explanation: Rubrospinal tract and lateral corticospinal tract are lateral tracts.
Anterior corticospinal tract, vestibulospinal tract, reticulospinal tract and tectospinal tract are medial tracts.